Tubercular laryngitis affects primarily
1. Anterior commissure
2. Posterior commissure of larynx
3. Anywhere within the larynx
4. Superior surface of larynx

Correct answer: 2. Posterior commissure of larynx

Explanation: The disease affects posterior part of larynx more than anterior. Parts affected are (i) interarytenoid fold (ii) ventricular bands (iii) vocal cords and (iv) epiglottis, in that order. Tubercle bacilli, carried by sputum from the bronchi, settle and penetrate the intact laryngeal mucosa particularly in the interarytenoid region (bronchogenic spread). This leads to the formation of submucosal tubercles which may later caseate and ulcerate. Ref: PL Dhingra 6th edition of Ear, Nose and Throat; Pg no 293